IPC 94 states that -
1. Criminal responsibility
2. Act to which a person is compelled by threats is not offence
3. Act to which a person is compelled by threats is an offence
4. Civil responsibility

Correct answer: 2. Act to which a person is compelled by threats is not offence

Explanation: Sec 94 IPC states that except murder, and offences against the State punishable with death, nothing is an offence which is done by a person who is compelled to do it by threats, which, at the time of doing it, reasonably cause the apprehension that instant death to that person will otherwise be the consequence: Provided the person doing the act did not of his own accord, or from a reasonable apprehension of harm to himself short of instant death, place himself in the situation by which he became subject to such constraint. Ref: IPC Sections, Indian Kanoon.org.